which fetal presentation vaginal delivery can be expected?
1. Face presentation when the chin lies direct to the sacrum
2. Brow presentation
3. Shoulder presentation
4. Face presentation when the chin lies under the symphysis pubis

Correct answer: 4. Face presentation when the chin lies under the symphysis pubis

Explanation: If there is no disproportion and the position is mentoanterior labour can be allowed to progress.The majority deliver spontaneously although labour may take slightly longer .(refer pgno:373 sheila textbook of obstetrics 2 nd edition)